Teeth commonly involved in Turner's hypoplasia is:
1. Molars
2. Mandibular incisors
3. Premolars
4. Canine

Correct answer: 3. Premolars